Not true about hyperplastic tuberculosis -
1. Most common site is ileo-caecal region
2. Presents as mass in right iliac fossa
3. Surgery is the treatment of choice
4. Barium studies are characteristic

Correct answer: 3. Surgery is the treatment of choice

Explanation: Ans. is 'c' i.e., Surgery is the treatment of choice